A patient presents with a severe form of atopic asthma. Which of the following changes would most likely be found in this patient's blood?
1. Basophilic leukocytosis
2. Eosinophilic leukocytosis
3. Lymphocytosis
4. Monocytosis

Correct answer: 2. Eosinophilic leukocytosis

Explanation: An increased number of eosinophils (AKA eosinophilia) occurs in association with several conditions, the most frequent of which are immune-mediated diseases (e.g., asthma, hay fever, and pemphigus vulgaris) and parasitic infestations. This is due to an absolute increase in the number of circulating eosinophils, brought about by IL-5, which stimulates differentiation of eosinophilic precursor cells in the bone marrow.Basophilic leukocytosis is a rare event that is sometimes observed in association with chronic myelogenous leukemia. It is not seen in patients with asthma. Lymphocytosis may result from a vast array of conditions, but it is not typical of asthma or other allergic diseases. Lymphocytosis may develop in response to a number of infections (e.g., brucellosis, whooping cough, hepatitis, infectious mononucleosis, and tuberculosis) or manifest as part of chronic lymphocytic leukemia. Monocytosis refers to an increase in number of monocytes, which are circulating macrophages. Chronic infections (e.g., tuberculosis, rickettsiosis, and malaria) and chronic inflammatory conditions (e.g., collagen vascular diseases and inflammatory bowel disease) are the most common underlying causes.